A man was found with suicidal shot on right temple. The gun was in his right hand. The skull was burst open. There was charring and cherry red coloration in the track inside. What can be said about shot -
1. Contact shot
2. Close shot at a distance of one foot from hand
3. Shot with range of smoking
4. Shot within range of tattooing

Correct answer: 1. Contact shot

Explanation: The synopsis of forensic medicine & toxicology ; Dr k.s narayan reddy ; 28th edition ;pg.no 130 Suicidal shots are usually contact shot ,the impact will be more ,wound larger ,margins contused & everted .